Which of the following is the Nysten's law:
1. Cadaveric rigidity does not appear in living people
2. Cadaveric rigidity appears faster in older and the young than in the middle age
3. Cadaveric rigidity occurs in men earlier than in the women
4. Cadaveric rigidity affect successively the masticatory muscles, those of the face and the neck, those of the trunk and arms and finally those of the lower limbs

Correct answer: 4. Cadaveric rigidity affect successively the masticatory muscles, those of the face and the neck, those of the trunk and arms and finally those of the lower limbs

Explanation: Nysten's rule: It is a sequential development of rigor mortis in the body after death. Sequence of appearance: Eyelids, Neck & lower jaw, then Face, Chest Muscles, Upper Limb, Abdomen, Lower limb and lastly Fingers and Toes. Rigor disappears in the same sequence cadaveric rigidity first appears in involuntary muscles; the myocardium becomes rigid in an hour. cadaveric rigidity first seen in myocardium than eye lid but first external site of cadaveric rigidity is eyelid.